Which of following anatomical information may assist you during post-partum tubal sterilization.
1. Fallopian tube lies anterior to round ligament.
2. Round ligament lies anterior to fallopian tube.
3. Uteroovarian ligament lies anterior to round ligament.
4. Fallopian tube lies posterior to uteroovarian ligament.

Correct answer: 2. Round ligament lies anterior to fallopian tube.

Explanation: Round ligament originates below and anterior to origin of fallopian tube.